In all of the following conditions neuraxial blockade is absolutely contraindicated, except –
1. Patient refusal
2. Coagulopathy
3. Severe hypovolemia
4. Pre–existing neurological deficits

Correct answer: 4. Pre–existing neurological deficits

Explanation: Contraindications to neuraxial block (spinal & epidural) 

Absolute :- Infection at the site of injection, patient refusal, coagulopathy or other bleeding disorder, severe hypovolemia, increased ICT, severe aortic or mitral stenosis.
Relative :- Sepsis, unco-operative patient, pre-existing neurological deficit, demyelinating lesions, severe spinal deformity, stenotic valvular heart disease.